True about ASHA is
1. Mental health worker
2. involved in minimum need program
3. deployed 1/1000 population
4. to replace anganwadi workers in ICDS program

Correct answer: 3. deployed 1/1000 population